Following periodontal surgery the epithelial attachment
healing is completed in
1. 2 weeks
2. 4 weeks
3. 6 weeks
4. 8 weeks

Correct answer: 2. 4 weeks